The eosinophil count in the peripheral blood smear is increased in:
1. Allergic conditions
2. Anaemia
3. Polycythemia
4. Typhoid fever

Correct answer: 1. Allergic conditions